Relative state of dehydration of cornea is maintained by
1. Active Na-K-ATPase pump of the corneal endothelium
2. Peculiar arrangement of corneal lamellae
3. Avascularity of cornea
4. All of the above.

Correct answer: 1. Active Na-K-ATPase pump of the corneal endothelium

Explanation: Corneal transparency The transparency is the result of : 1) Peculiar arrangement of corneal lamellae (lattice theory of Maurice), 2) Avascularity, and 3)Relative state of dehydration, which is maintained by barrier effects of epithelium and endothelium and the active bicarbonate pump of the endothelium. Ref:- A K KHURANA; pg num:-90